A sea snake is:
1. Neurotoxic
2. Hemotoxic
3. Musculotoxic
4. All of the above

Correct answer: 3. Musculotoxic

Explanation: C i.e. Musculo toxic